Preformed antibodies cause
1. Hyperacute rejection
2. Acute rejection
3. Chronic rejection
4. Acute humoral rejection

Correct answer: 1. Hyperacute rejection

Explanation: Rejection- Antibody mediated Humoral or hyperacute rejection When preformed antidonor antibodies are present in circulation of recipient Previous rejection of a transplant Multiparous women Prior blood transfusions Mechanisms of injury - complement dependent cytotoxicity, inflammation, ADCC. Target is graft vasculature - rejection vasculitis